Not a risk factor for primary open angle glaucoma among the following is
1. Hereditary
2. diabetes mellitus
3. Cigarette smoking
4. Hypermetropia

Correct answer: 4. Hypermetropia

Explanation: Myopia is a risk factor for primary open angle glaucoma, not Hypermetropia.